Imiquimod is used for treatment of:
1. Molluscum contagiosum
2. Warts
3. Skin cancer
4. All of the above

Correct answer: 4. All of the above

Explanation: Ans. D. All of the aboveImiquimod belongs to a group of drugs called immune response modifiers. It works by helping immune system to fight these abnormal skin growths -precancerous growths (actinic keratoses), a certain type of skin cancer (superficial basal cell carcinoma), and warts on the outside of the genitals/anus, keloid.